Structures removed in RND dissection are all except:
1. Neck lymph nodes
2. Cranial nerve XI
3. Sternocleidomastoid
4. Vagus nerve

Correct answer: 4. Vagus nerve

Explanation: Ans. (d) Vagus nerveRef: Bailey - 26th Edition Page 720)* Structures removed in RND are:# Level 1-5 nodes# Part of Parotid gland# Submandibular gland# Spinal Accessory Nerve# Internal Jugular Vein# Sternocleidomastoid Muscle.